Choose the drug whose single oral dose affords clinical cure of uncomplicated malaria caused by chloroquine sensitive/resistant P. falciparum as well as P. vivax :
1. Quinine
2. Mefloquine
3. Artesunate
4. Proguanil

Correct answer: 2. Mefloquine